After bilateral adrenalectomy, patient developed gradual loss of vision, with hyperpigmentation of skin, and headache. Likely cause is
1. Addison's disease
2. Nelson's syndrome
3. Cushing's disease
4. Harrisons syndrome

Correct answer: 2. Nelson's syndrome

Explanation: In 10% of patients with Cushing's disease who undergo a bilateral adrenalectomy after failed pituitary surgery, the pituitary adenoma causes Nelson's syndrome due to continued ACTH secretion at high levels, causing hyperpigmentation as a result of chemical synergies between ACTH and melanocyte-stimulating hormoneRef: Bailey and Love 27e pg: 842